Any cuffed tube that is passed into trachea should reach:
1. Above vocal cords.
2. Below vocal cords.
3. At the level of vocal cords.
4. Any of the above.

Correct answer: 2. Below vocal cords.